The second gas effect is
1. Displacement of N20 by Oxygen
2. Displacement of oxygen by N20
3. Removal of oxygen by N20 from alveoli during recovery from general anaesthesia
4. Facilitation of inhalation of Halothane by N20

Correct answer: 4. Facilitation of inhalation of Halothane by N20